What is the rationale behind xenobiotic metabolism by CYP enzymes
1. Increase in water solubility
2. Increase in lipid solubility
3. Conversion to an active metabolites
4. Makes it suitable to evaporate through skin surface

Correct answer: 1. Increase in water solubility

Explanation: Refer Katzung 12th/p53,54 The aim of xenobiotic metabolism is to increase water solubility so that these compounds can be excreted in urine